Immediate precursor of acetoacetate:
1. HMG CoA
2. Acetoacetyl CoA
3. Acetyl CoA
4. Malonyl CoA

Correct answer: 1. HMG CoA

Explanation: Immediate precursor of acetoacetate (ketone body) is HMG CoA, not Acetoacetyl CoA. Ketone body synthesis